Medullary carcinoma of the thyroid is associated with which of the following syndrome -
1. MEN I
2. MEN II
3. Fraumeni syndrome
4. Hashimoto's thyroiditis

Correct answer: 2. MEN II